Waldeyer's ring consists of all of the following except
1. Palatine tonsils
2. Pharyngeal tonsils
3. Tubal tonsils
4. Posterior Auricular nodes

Correct answer: 4. Posterior Auricular nodes

Explanation: Lymphoid tissue aggregated at places in the subepithelial layer of the pharynx is collectively called Waldeyer's ring. It is formed by 1. Nasopharyngeal tonsil or adenoids 2. Palatine tonsils 3. Lingual tonsil 4. Tubal tonsil ( In fossa of Rosenmuller) 5. Lateral pharyngeal bands 6. Nodules in the posterior pharyngeal wall. (Ref: Diseases of Ear, Nose and Throat, PL Dhingra; 7th edition, pg no. 269)